'Sin of Gomorrah' is best known as:
1. Anal coitus
2. Oral coitus
3. Lesbianism
4. Bestiality

Correct answer: 2. Oral coitus

Explanation: Buccal coitus also known as coitus per os or sin of Gomorrah. Buccal coitus is another offence analogous to sodomy. According to the Bible this was prevalent in the town of Gomorrah and hence the name. The victim may be a young child. In this punishable offence, the penis is introduced into the mouth. Faint teeth marks and abrasions may be seen on the penis.